True statement about Streptococcus is:
1. Non-motile, non sporing cocci
2. Grows only in media containing blood or serum
3. Ferment sugar to produce acid but no gas
4. All of the above

Correct answer: 4. All of the above

Explanation: Ans. D. All of the above.Streptococcusa. Gram positive, non sporingcoccci; some species may be capsulatedb. Cell division occurs in one plane and cells do not separate. Therefore, are arranged in pairs or chainsc. Aerobes and facultative anaerobes (some are obligate anaerobes)d. Grow poorly on basal media, growth enhanced on enriched media (addition of blood or serum)e. All species are catalase and oxidase negative;f. Ferment sugars with production of acid but no gas.